All are seen in Keratoconus EXCEPT:
1. Progressive vision loss due to increasing myopia and irregular astigmatism
2. Keyser Fleischer Ring
3. Scissoring reflex in retinoscopy
4. Munson sign Positive

Correct answer: 2. Keyser Fleischer Ring

Explanation: Ans. (b) Keyser Fleischer RingRef: A.K. Khurana 6th ed./ 131; Khurana 4th ed./ 141* Fleischer ring is seen in keratoconus and not KF rings.* KF ring is seen in Wilsons disease (Chalcosis)KERATOCONUS* Keratoconus (Conical cornea) is a non-inflammatory bilateral (85%) ecstatic condition of cornea in its axial part.Clinical Features* Patient presents with a defective vision due to progressive myopia and irregular astigmatism, which does not improve fully despite correction with glasses.* Slit lamp examination may show thinning and ectasia of central cornea, opacity at the apex and Fleischer's ring at the base of cone, folds in Descemets and bowmans membranes.* Vogt lines: Very fine, vertical, deep stromal striae which disappear with external pressure on the globe are peculiar feature.* On retinoscopy a yawning reflex (scissor reflex)* Munsen's sign: localized bulging of lower lid when patient looks down is positive in late stages.